All these structures are found in lateral nasal wall , except-
1. superior turbinate
2. Vomer
3. Agger nasi
4. Hasner's valve

Correct answer: 2. Vomer

Explanation: The lateral nasal wall is composed of three turbinates-superior turbinate,middle turbinate,inferior turbinate. Below each turbinate is the respective meatus: -inferior meatus -middle meatus -superior meatus -above the superior tirbinate lies the sphenoethmoidal recess. -just anterior to the middle meatus,is a small crest/mound on the lateral wall called as agger nasi. Ref.Dhingra 5/e,p 150-153.